Epinephrine:
1. Reduces aqueous production
2. Reduces outflow facility
3. Reduces aqueous production and increases outflow facility
4. Increases aqueous production and reduces outflow facility

Correct answer: 3. Reduces aqueous production and increases outflow facility

Explanation: Ans. Reduces aqueous production and increases outflow facility